The mechanism by which ergometrine stops postpartum hemorrhage is that it:
1. Causes vasoconstriction of uterine arteries
2. Increases tone of uterine muscle
3. Promotes coagulation
4. Induces platelet aggregation

Correct answer: 2. Increases tone of uterine muscle

Explanation: All drugs used in PPH including oxytocin, misoprostol and ergometrine cause uterine contraction. The blood vessels are pressed in the uterine muscle and bleeding stops Indications to start oxytocin Post partum hemorrhage Uterine inertia Breast engorgement due to abnormal milk ejection reflex